Thyroid carcinoma secreting ACTH
1. Follicular ca
2. Medullary ca
3. Papillary ca
4. Anaplastic ca

Correct answer: 2. Medullary ca

Explanation: Ans. (b) Medullary caMedullary Cancer Thyroid:* 5% of thyroid cancers* Arises from Parafollicular C cells which are derived from Ultimobranchial Bodies.* Mc Site is supero lateral* C cells secrete CALCITONIN* Secretes ACTH, Serotonin, Calcitonin, CEA, Histaminidases, PG E2 and PGF2 Alpha.* FNAC showing amyloid is diagnostic